Treatment of after cataract -
1. Argon laser
2. Nd-YAG laser
3. CO?laser
4. Krypton laser

Correct answer: 2. Nd-YAG laser

Explanation: Ans. is 'b' i.e., Nd-YAG laser o Thin after cataract can be cleared centrally by Nd : YAG laser capsulotomy.After cataract (Secondary cataract or posterior capsular opacification)o Posterior capsular opacification (PCO) is seen after ECCE. Opacification of the posterior capsule is caused by postoperative proliferation of cells in the capsular bag and is the most common complication of ECCE.o After cataract may present as thickened posterior capsule, or dense membranous after cataract or Soemmering's ring which refers to a thick ring of after cataract formed behind the iris, enclosed between the two layers of capsule or Elschnig's pearls in which the vacuolated subcapsular epithelial cells are clustered like soap bubbles along the posterior capsule.o After cataract, if thin, can be cleared centrally by Nd: YAG laser capsulotomy. Discission with cystitome or zeiglers knife may also be used. Thick membranous after cataract needs surgical membranectomy.